Verapamil belong to which class of antiarrythmic
1. Class I
2. Class II
3. Class III
4. Class IV

Correct answer: 4. Class IV